Corpus luteum supports endometrium in pregnancy till
1. 6-10 weeks
2. 12-24 weeks
3. 36 weeks
4. 42 weeks

Correct answer: 1. 6-10 weeks

Explanation: (A) 6-10 weeks# At 6-8 weeks there is transfer of function of the corpus luteum to the placenta.